The anatomic crown is shorter than the clinical crown of a tooth in which of the following instances:
1. Impaction
2. Gingivitis
3. Occlusal wear
4. Gingival recession

Correct answer: 4. Gingival recession